Pedigree analysis chart-
1. Used for growth monitoring
2. To assess side effect during chemotherapy
3. Used to see gentic transmission
4. To assess developmental delay in infant

Correct answer: 3. Used to see gentic transmission

Explanation: Ans. is 'c' i.e., Used to see genetic transmission Pedigreeo Provide graphic depiction of a family structure medical history,o Person providing information is formed as proband,o Special symbol is used for each designation.o Three generation pedigree should be made.o Closer the relationship of proband to the person, greater is change of shared genetic component.